Environmental manipulation to enable BEST expression of genotype is known as:
1. Eugenics
2. Euthenics
3. Gene therapy
4. Euthanasia

Correct answer: 2. Euthenics

Explanation: Euthenics deals with the "improvement" through altering external factors and environment to enable adequate expression of genotype. Ref: Park 21st edition page: 767.